Hypothyroidism should be treated with daily administration of which of the following thyroid hormone preparations?
1. Thyroid extract
2. Thyroglobulin
3. Thyroxine (T4)
4. Triiodothyronine (T3)

Correct answer: 3. Thyroxine (T4)